All of the following drugs can cause cholestatic jaundice EXCEPT:
1. Erythromycin estolate
2. INH
3. OC pills
4. Chlorpromazine

Correct answer: 2. INH

Explanation: The above drugs erythromycin, oc pills, chlorpromazine effects the liver and damage it leading to cholestasis. Mostly because all these drugs are metabolized and excreted bile and hence during bile formation, they damage the liver but isoniazid an antitubercular drug is extensively metabolized in liver but excreted in the urine. It mostly induces peripheral neuritis rather than cholestatic jaundice ESSENTIALS of medical PHARMACOLOGY SEVENTH EDITION -K D TRIPATHI Page:753,321,766.413